Which of the following is false regarding Aircraft injuries
1. Fracture cervical spine is most commonly seen spinal injury
2. Most of the aircraft accidents occur on landing (35 %) or take off (35 %)
3. If a door or window breaks during flight, cabin pressure falls and death occurs due to anoxia
4. Brain lactic acid levels exceeding 200 mg% indicates hypoxia

Correct answer: 1. Fracture cervical spine is most commonly seen spinal injury

Explanation: Fracture Thoracic spine is most commonly seen spinal injury . It is usually due to hyperflexion injuries due to rapid deceleration when the aircraft strikes the ground. Most of the aircraft accidents occur on landing (35 %) or take off (35 %)